Which of the following method of assessment of quality of protein gives complete assessment of protein quality?
1. Biological value
2. Net protein utilization
3. Digestibility coefficient
4. Amino acid score

Correct answer: 2. Net protein utilization

Explanation: Protein quality is determined by amino acid score and net protein utilization. NPU gives a more complete expression of protein quality than the amino acid score. REF. PARK'S TEXTBOOK OF PREVENTIVE AND SOCIAL MEDICAL 21ST EDITION. PAGE NO - 584